Reflex hallucination is a morbid variety of aEUR'
1. Kinesthesia
2. Parasthesia
3. Hypersthesia
4. Synanaesthesia

Correct answer: 4. Synanaesthesia

Explanation: Synanaesthesia Reflex hallucination : A stimulus in one sensory modality producing an hallucination in another modality. This is infact an hallucinatory form of Synanaesthesia which is described, earlier as experience of stimulus e.g. - .A doctor was writing in his case notes during his interview of female patient, she said "I can feel you writing in my stomach". Here the patient ''saw" and "heard" the act of writing and was quite sure that it accounted for tactile sensation in her abdomen. In reflex hallucination you need a sensory stimulus in any other sensory organ than the one which corresponds to modality of hallucination. Another example might help you inure. - Seeing devil when telephone rings. As you can see this hallucination is in a different modality (visual cortex) than the primary sensory organ receiving that stimulus (hearing). - As the stimulus is occuring as a reflex to the original stimulus from a different sensory organ, it was termed as reflex hallucination.